Non-deforming arthritis among the following
1. Syphilis
2. Bechet's sydrome
3. Osteoarthritis
4. Psoriatic arthritis

Correct answer: 2. Bechet's sydrome